Which drug is suitable for epilepsy related to a brain tumor?
1. Levetiracetam
2. Phenytoin
3. Carbamazepine
4. Phenobarbitone

Correct answer: 1. Levetiracetam

Explanation: In epilepsy caused by brain tumor, agent of choice is those drugs that do not induce hepatic microsomal enzyme system. Drugs such as : Levetiracetam Topiramate Lamotrigine Valproic acid Lacosamide.